Treatment of choice for simple cyst of liver:
1. Percutaneous drainage
2. Cysto-enterostomy
3. Deroofing
4. Aspiration

Correct answer: 3. Deroofing

Explanation: SIMPLE HEPATIC CYST Contain serous fluid, do not communicate with the biliary tree, and do not have septations Single in 50% cases Treatment Nonsurgical treatment: Aspiration and injection of a sclerosing agent (most frequently ethanol) Surgical therapy: Fenestration or unroofing the extrahepatic portion of cyst Complication: MC complication: intra cystic bleeding On USG shows Posterior acoustic enhancement